All are features of RPGN except -
1. Rapid recovery
2. Crescent formation
3. Hypertension
4. Non-selective proteinuria

Correct answer: 1. Rapid recovery

Explanation: RPGN is characterised by a rapidly progressive renal disease which culminates in End-stage renal disease (ESRF) within months after onset. Recovery is rare.
Clinical features of RPGN

RPGN typical presents with acute nephritis -
Hematuria   
Oliguria      
Non-selective mild proteinuria    
Edema     
Azotemia 
RBC casts in urine       
Mild to moderate hypertension
Proteinuria and edema are not as severe as those encountered in nephrotic syndrome.